Hormones which act on intracellular receptors both initially in the cytoplasm and ultimately on nuclear receptors are categorized under:
1. Group I hormones
2. Group II hormones
3. Group III hormones
4. Group IV hormones

Correct answer: 1. Group I hormones